Best predictor for future risk of cardiovascular events, amongst the following is:
1. hs CRP
2. Lipoprotein 'a'
3. Homocysteine
4. Interleukin 6

Correct answer: 1. hs CRP

Explanation: Answer is A (hs CRP) hs CRP which is a serum marker of systemic inflammation has emerged as a major risk factor marker fir future cardiovascular events CRP and Future risk of cardiovascular events CRP when measured by high sensitivity assays (hs CRP) strongly and independently predicts risk of Myocardial Infarction, Stroke, Peripheral Arterial disease and Sudden Cardiac Death among healthy individuals hs CRP adds prognostic information at all levels of LDL cholesterol and at all levels of risk as determined by the Framingham risk score hs CRP is a better predictor of cardiovascular risk than lipoprotein 'a', homocysteine or interleukin 6 and an elevated hs CRP carries a significantly higher relative risk offitture cardiovascular events than any of the other individual factors Infact hs CRP may be a better predictor of cardiovascular risk than elevated LDL cholesterol levels `Absolute vascular risk is higher in individuals with elevated hs CRP levels and low levels of LDL cholesterol than in those with elevated levels of LDL cholesterol but low levels of hs CRP'